By binding RANKL with high affinity, which of the following drug reduces bone resorption
1. Alemtuzumab
2. Palivizumab
3. Daclizumab
4. Denosumab

Correct answer: 4. Denosumab

Explanation: By binding to RANKL,denosumab inhibitsRANKL from activating its only receptor RANKon the surface of osteoclasts and their precursors. Prevention of RANKL-RANKinteraction inhibits osteoclast formation, function, and survival; thereby decreasing bone resorption and interrupting cancer-induced bone destruction Ref essentials of pharmacology, k. D tripati 5e